Which of the following is not seen on ultrasound in acute pyelonephritis?
1. Grossly enlarged kidney
2. Focal area of hypoechogenecity
3. Perinephric collection (pus in the perinephric space)
4. Increased vascularity

Correct answer: 4. Increased vascularity

Explanation: Ans. d. Increased vascularity In acute pyelonephritis, Color and power Doppler evaluation typically shows decreased perfusion in the affected parenchyma, which has been attributed to arteriolar vasoconstriction and interstitial edema in response to bacterial infection. Features of Pyelonephritis on Ultrasound Particulate matter in the collecting system Gas bubbles (emphysematous pyelonephritis) Abnormal echogenicity of the renal parenchyma FocaUsegmental hypoechoic regions Diffuse or focal enlargement of the kidney, sometimes with a mass-like lesion Color and power Doppler evaluation typically shows decreased perfusion in the affected parenchyma, which has been attributed to arteriolar vasoconstriction and interstitial edema in response to bacterial infection.